Sensory supply to the posterior one third of tongue is:
1. Lingual nerve
2. Chorda tympani nerve
3. Hypoglossal nerve
4. Glossopharyngeal

Correct answer: 4. Glossopharyngeal

Explanation: Parts of the Tongue